In prenatal diagnostic technique Act 1994 which one of the following is not a ground for carrying out prenatal test?
1. Pregnant women above 35 years of age
2. History of two or more spontaneous abortion or fetal loss.
3. When fetal heart rate is 160 per min at fifth and 120 per min at ninth month.
4. History of exposure to potentially teratogenic drugs.

Correct answer: 3. When fetal heart rate is 160 per min at fifth and 120 per min at ninth month.

Explanation: C i.e. When fetal heart rate is 160/ min at 5th & 120/min at 9th month